This develops along lines of embryological fusion in the floor of the mouth. SELECT ONE.
1. Cholesteatoma
2. Dermoid cyst
3. Glomus tumor
4. Neurofibroma

Correct answer: 2. Dermoid cyst

Explanation: Dermoid cysts arise along line of fusion of embryonic parts. In the floor of the mouth, the swelling forces the tongue upward. Alternatively, the swelling may occur below the mylohyoid muscle, where it gives the impression of a double chin. It is not a premalignant lesion. It has an epithelial lining and may contain secretions, sloughed-off cells, and hair.